Cherry red postmortem staining is seen in
1. Cyanide
2. Carbon monoxide
3. Nitrites
4. Phosphorus

Correct answer: 2. Carbon monoxide

Explanation: Ans. is 'b' i.e., Carbon monoxide * Color of post-mortem staining in various poisoning:POISONCOLORCarbon mono-oxide and hypothermiaCherry redHCN, burnsBright redNitrites, potassium chlorate, potassium bicarbonateNitrobenzene, acetanilide, bromates, aniline (causing methaemoglobinuria)Chocolate or Copper brownPhosphorousDark brown or yellowHydrogen sulphideBluish green